Virchows triad includes all except:-
1. Endothelial injury
2. Stasis of blood flow
3. Hypercoagulability
4. Platelet thrombus

Correct answer: 4. Platelet thrombus

Explanation: The Virchow Triad in thrombosis:- Endothelial integrity (most important) Abnormal blood flow hypercoagulability